In molars ideal site for EPT electrode placement is:
1. Mesiobuccal cusp tip.
2. Occlusion third of crown.
3. Middle third of crown.
4. Cervical third of crown.

Correct answer: 1. Mesiobuccal cusp tip.